All of the following cause sulfur granules except-
1. Chromoblastomycosis
2. Botryomycosis
3. Mycetoma
4. Actinomycosis

Correct answer: 1. Chromoblastomycosis

Explanation: Ans. is 'a' i.e., Chromoblastomycosis . Sulphur granules are seen in Maduramycosis (mycetoma). . A condition similar to mycetoma, called botryomycosis is caused by staph aureus. . Chromoblastomyces does not cause mycetoma.